Stage of Ovarian tumor with surgical spill
1. Stage 1A
2. Stage 1B
3. Stage 1C1
4. Stage1C2

Correct answer: 3. Stage 1C1

Explanation: Stage 1: tumor confined to ovaries or fallopian tubes. 1c: tumor limited to one or both ovaries. : Surgical spill : Capsule rupture before surgery or tumor on ovarian surface : Malignant cells present in ascites or peritoneal washings Reference : textbook of gynaecology Sheila balakrishnan, 2nd edition, pg no:277